Proteasome inhibition is seen with
1. Fludarabine
2. Thioguanine
3. Bortezomib
4. Rivaroxiban

Correct answer: 3. Bortezomib

Explanation: It is a proteasome inhibitor - an anticancer drugBortezomib was first approved for use in relapsing or refractory multiple myeloma and is now widely used in the first-line treatment of multiple myeloma. This agent is thought to exert its main cytotoxic effects through inhibition of the 26 S proteasome, which results in down-regulation of the nuclear factor kappa B (NF-kB) signaling pathway. Of note,inhibition of NF-kB has been shown to restore chemosensitivity.Ref: Sharma and Sharma 3rd ed/pg 871; Katzung; 13th edition; Page no: 971